Delta bilirubin is ______ bilirubin _____ bound to albumin.
1. Conjugated, covalently
2. Unconjugated, non-covalently
3. Conjugated, noncovalently
4. Unconjugated, covalently

Correct answer: 1. Conjugated, covalently

Explanation: Delta bilirubin or biliprotein is the fraction of conjugated bilirubin that is covalently bound to albumin. This is responsible for the lab finding of persistent hyperbilirubinemia even after the disappearance of jaundice in cases of obstructive jaundice. -Chromatographic fractionation of serum bilirubin: a bilirubin unconjugated bilirubin b bilirubin bilirubin monoglucuronide g bilirubin bilirubin diglucuronide d bilirubin albumin bound conjugated bilirubin